True about amoebic liver abscess is
1. Male: female >10:1
2. Not predisposed by alcohol
3. More common in diabetes
4. E.histolytica is isolated in >50% from blood culture

Correct answer: 1. Male: female >10:1

Explanation: Most of the patients are young men( may be due to heavy alcohol consumption) Not associated with diabetes Cultures of amoebic abscess are usually sterile or negative Ref: Sabiston 20th edition